All are true about pulmonary embolism,except -
1. Chest pain is the most common symptom
2. Most commonly presents within 2 weeks
3. More is the survival time, more is the chance of . recovery
4. Arises from leg veins

Correct answer: 1. Chest pain is the most common symptom